Nerve involved most commonly in fracture neck of humerus is
1. Musculocutaneous
2. Median nerve
3. Ulnar nerve
4. Axillary nerve

Correct answer: 4. Axillary nerve

Explanation: The axillary nerve ( C5,C6) passes close to surgical neck of humerus. -Supplies teres minor. Dislocation of shoulder or fracture of surgical neck of humerus can damage axillary nerve. Effects of damage- deltoid is paralyzed loss of power of abduction up to 90deg at shoulder, sensory loss over lower half of deltoid.